All are true regarding cryptococcal infection, except -
1. Occurs in immunodeficient states
2. Capsular antigen in CSF is a rapid method of detection
3. Anticapsular antibody is protective
4. Urease +ve

Correct answer: 3. Anticapsular antibody is protective

Explanation: Ans. is 'c' i.e., Anticapsular Antibody is protective CRYPTOCOCCUS NEOFORMANS . The only pathogenic yeast . Four capsular serotypes - A, B, C and D . It has polysaccharide capsule . Most infections in immunocompromized patients are caused by serotype A. . Pigeon droppings commonly contains serotype A and D. . Eucalyptus tree contain serotype B. . It is urease positive. Mode of transmission - By inhalation of the fungus into the lung (most common) - Through skin or mucosa (some times). Laboratory diagnosis -Lumbar puncture is the single most useful diagnositc test Laboratory diagnosis Direct microscopy . Unstained wet preperations of CSF mixed with drop of India ink or nigrosine demonstrate the capsule as a clear halo Methenamine silver or periodic acid-Schiff are used for staining a tissue sample. Culture . Can be easily cultured from CSF on sabouroud's agar Serology . The most useful serological test is LPA test (Latex agglutination test for the detection of cryptococcal polysaccharide capsular antigen) . This is highly specific and sensitive; and gives better results than direct microscopy and cultures. Culture . Can be easily cultured from CSF on sabouroud's agar